Normal diurnal variation of intraocular pressure is:
1. 0-2 mm of Hg
2. 2-3 mm of Hg
3. 3-6 mm of Hg
4. 6-8 mm of Hg

Correct answer: 3. 3-6 mm of Hg

Explanation: Ans. 3-6 mm of Hg